In which of the following type of osteogenesis imperfecta, 90% of newborn die before 4 weeks of age?
1. Type I
2. Type II
3. Type III
4. Type IV

Correct answer: 2. Type II

Explanation: Type I Osteogenesis imperfecta is the most common and the mildest form of osteogenesis imperfecta. 
Around 10% of the patients show prenatal fractures.
Type II is the most severe form of osteogenesis imperfecta, with extreme bone fragility and frequent fractures. Around 90% of the cases are either stillborn or die before 4 weeks of postnatal life. Prenatal fractures are common in most of the patients.
In utero fractures occur in 50% of the Type III osteogenesis imperfecta patients. The rest of the cases acquire fractures in the neonatal period. No hearing loss has been reported in this type.

Reference: Shafer’s Textbook of ORAL PATHOLOGY Eighth Edition page no 458,459